The anticoagulant of choice in pregnancy is :
1. Heparin
2. Warfarin
3. Dicoumarol
4. Phenindione

Correct answer: 1. Heparin